A patient of head injury has no relatives & requires urgent cranial decompression; Doctor should -
1. Operate without formal consent
2. Take police consent
3. Wait for relatives to take consent
4. Take magistrate consent

Correct answer: 1. Operate without formal consent

Explanation: For emergency life surgery, when relatives are not there, no consent is required.